Most common cause of gas gangrene -
1. Cl welchii
2. Clsepticum
3. Clnovyi
4. Clhistolyticum

Correct answer: 1. Cl welchii

Explanation: Ans. is 'a' i.e., Cl welchii o Most common cause of gas gangrene is Cl perfringens (Cl welchii) causing 80% of cases of gas gangrene,o Other causes are Cl septicum, Cl novyi and Cl histolyticum.